All the following fungi are thermally dimorphic except
1. Sporothrix schenkii
2. Cryptococcus neoformans
3. Blastomycosis dermatitidis
4. Histoplasma capsulatum

Correct answer: 2. Cryptococcus neoformans

Explanation: Cryptococcus is a yeast. All others exist as yeast in the host tissue and in culture at 37C and as mycelial form in the soil and culture at 25C Reference: Textbook of Microbiology; Baveja; 4th edition